Electrical alterans in ECG is characteristic of
1. Severe bronchial asthma
2. Peri cardial effusion
3. Severe LVF
4. –AR

Correct answer: 2. Peri cardial effusion